The mainstay of treatment of vitiligo is-
1. PUVA
2. Imiqinod
3. Acyclovir
4. Coal tar

Correct answer: 1. PUVA

Explanation: Ans. is 'a' i.e., PUVA "Pheto chemotherapy with psorolens with UVA exposure (PUVA) forms the mainstay of therapy in vitiligo "____ Neena khanna"Despite the development in phototherapy, PUVA and PUVA SOL still remain the mainstay of therapy".____ VankataramGuidlines for treatmentLocalized diseaseo New lesionso Old lesionsTopical corticoststeroidsTopical PUVAExtensive diseaseo New lesionso Old lesionso Intolerance to PUVAOral corticosteroids + PUVA/NB-UVBOral PUVA/PUVA Sol/NB-UVBOral corticosteroidsGeneralized lesionsMonobenzyl ether of hydroquinoneNote - NB-UVB : Narrow band UVB